Chaga's disease is transmitted by ?
1. Hard tick
2. Soft tick
3. Sandfly
4. Reduvid bug

Correct answer: 4. Reduvid bug

Explanation: Ans. is 'd' i.e., Reduvid bug Chaga's disease is transmitted by Reduvid bug.